Parastomal hernia is most frequently seen with
1. End colostomy
2. Loop colostomy
3. End iliostomy
4. Loop iliostomy

Correct answer: 1. End colostomy

Explanation: end colostomy is always permanent colostomy,which is done 6 cm above and medial to the anterior superior iliac spine in the left iliac fossa.it is also done as bringing out of proximal colon as in Hartman's procedure. Ref:SRB's manual of surgery,ed,3,pg no 839